Drugs used in treatment of obesity are all Except
1. Orlistat
2. Sibutramine
3. Rimonabant
4. Prednisone

Correct answer: 4. Prednisone

Explanation: Prednisolone or steroids are used in obesity they cause obesity especially central obesity Ref KD Tripathi 8th ed